Which of the following would increase the levels of acetylcholine in the synaptic cleft?
1. Administration of glucose
2. Activation of muscarinic receptors
3. Activation of nicotinic receptors
4. Inhibition of acetylcholinesterase

Correct answer: 4. Inhibition of acetylcholinesterase

Explanation: Of the above only the inhibition of acetylcholinesterase, the enzyme that breaks down acetylcholine into acetate and choline and effectively stops cholinergic signaling between two cells, would increase levels of acetylcholine in the synaptic cleft.